A Man is hit by a car and is thrown up and hits the road divider, then falls on the ground, sustains a head injury, then run over by another car. Cause of head injury is:
1. Primary impact injury
2. Secondary impact injury
3. Primary injury
4. Secondary injury

Correct answer: 4. Secondary injury

Explanation: Ans:D (Secondary injury) Ref: Textbook of Forensic Medicine and Toxicology, 1999, Nageshwar Rao, pg: 207 Explanation: Pedestrians can sustain three types of injuries during a road traffic accident Primary Impact Injury - To the first part struck by the vehicle,''object. Secondary Impact Injury - Caused by further impact to the vehicle by the victim. Tertiary Impact Injury (Secondary Injury) when the victim strikes another object or ground. Primary Impact Injury When a moving vehicle hits a person, various parts of the vehicle will come into contact with body during the impact, producing patterned injuries called primary impact injuries. The parts of the vehicle which produce patterned injuries are bumpers, grills, headlights etc. A hit by bumper of the car produces fracture of leg bones, called bumper fracture. The detection of primary impact injury will help to find out the relative position of the vehicle and the pedestrian. Primary impact injury can serve as an important evidence for the mechanism of trauma. Secondary Impact Injury After the primary impact, the feet of the victim slide, whole body is lifted off the ground and the victim is thrown onto the vehicle. The head may strike the windshield and torso may strike the bonnet or other parts of the car. After the secondary impact the victim is thrown onto the ground. Secondary Injury The victim striking the ground causes these injuries. It also includes injuries caused by run over by other vehicles. Head injury is the most common injury. The victim may also be sometimes run over by the vehicle producing crush injuries.